Desmopressin can be used for all of the following conditions EXCEPT:
1. Neurogenic diabetes insipidus
2. Nephrogenic diabetes insipidus
3. Bed wetting in children
4. Bleeding due to hemophilia

Correct answer: 2. Nephrogenic diabetes insipidus

Explanation: Desmopressin is the agent of choice for central diabetes insipidus. It has no role in nephrogenic DI (because ADH is already present in this condition). Pituitary DI and that due to head trauma are examples of central DI. Li induced DI is nephrogenic. Drug of choice for this condition is amiloride.